Leydig cells are derived embryologically from
1. Mesoderm of gonadal ridge
2. Endoderm of Genital tubercle
3. Germ cells
4. None of the above

Correct answer: 1. Mesoderm of gonadal ridge

Explanation: Ans. is 'a' i.e., Mesoderm of gonadal ridge Testosterone producing cells, called leyding cells, develop from mesoderm of the gonadal ridge and are located between sex cords.They produce testosterone by week 8.